What is the advantage of fixed dose combination of drugs.
1. Increases efficacy of drug
2. Decreases adverse effects
3. Patient compliance improved
4. All of the above

Correct answer: 4. All of the above

Explanation: Ans. D. All of the aboveAdvantages of FDC:Safe and effective.Reduces "pill burden" a Enhancing overall treatment outcome.Increases efficiency.Reduce incidence of adverse drug effects.Improves patient compliance.Offers low cost (compared to individual components of active ingredients).